Lyme disease is caused by
1. Borrelia recurrentis
2. Borrelia vincenti
3. Borrelia burgdorferri
4. Bordetella pertusis

Correct answer: 3. Borrelia burgdorferri

Explanation: Ans, c (Borrelia burgdorferi). (Microbiology by Anantanaray an, 6th/359; Harrison 18th/Table 17-1)LYME DISEASE is caused by Borrelia burgdorferi.3 Stages:1) Skin manifestation - *ECM = Erythema chronicum migrans (common over back), LNP, fever.2) Neuroboriliasis, meningoencephalopathy, neuropathy, Myocarditis.3) Arthitis -Late sequelaEtiologyDescriptionEpidemiologyClinical SyndromeMgtBorrelia burgdor feri causes Lyme diseasePapule expanding to erythematous annular lesion with central clearing (erythema migrans; average diameter, 15 cm), sometimes with concentric rings, sometimes with indurated or vesicular center; multiple secondary erythema migrans lesions in some casesBite of tick vector (Ixodes dammini)Headache, myalgias, chills, photophobia occurring acutely; CNS disease, myocardial disease, arthritis weeks to months later in some* Media for growth - Modified Kesley's media.* Treatment-- cefuroxone, penicillin, tetracycline.Zoonotic bacteriaSpeciesDiseaseTransmission and sourceBartonella henselaeCat scratch feverCat scratchBorrelia burgdorferiLyme diseaseTick bite; Ixodes ticks that live on deer and miceBrucella spp.Brucellosis/Undulant feverDairy products, contact with animalsFrancisella tularensisTularemiaTick bite; rabbits, deerYersinia pestisPasteurella multocidaPlagueCellulitisFlea bite; rodents, especially prairie dogsAnimal bite; cats, dogs